Hadfield operation is done for
1. Duct Ectasia
2. Fibroadenoma
3. Mondor
4. Cancer breast

Correct answer: 1. Duct Ectasia

Explanation: Ans. (a) Duct Ectasia(Ref. Bailey and Love 27th Edition Page 868)* Hadfield operation of resection of all ducts conically with apex at the nipple and base at pectoralis fascia level. Done for periductal mastitis (Duct Ectasia) and Duct papilloma of unknown duct origin.